Ann Arbor classification is used for?
1. Retinoblastoma
2. Nephroblastoma
3. Neuroblastoma
4. Hodgkin lymphoma

Correct answer: 4. Hodgkin lymphoma

Explanation: Robbins basic pathology 9th edition page no 442,tabke11-10 By this classification hodgkins and non hodgkins lymphoma are divided into 4stages